Not true about parapharyngeal abscess
1. Torticollis
2. Drooling of saliva
3. Trismus
4. Horner's syndrome

Correct answer: 2. Drooling of saliva